All are true regarding hypertrophic cardiomyopathy EXCEPT:
1. Digoxin is helpful
2. Irregular thickness of septa
3. Dynaic obstruction
4. Double aical impulse

Correct answer: 1. Digoxin is helpful

Explanation: Ans: A i.e. Digoxin is helpful Digitalis is contraindicated in the hyperdynamic phase of the disease when obstruction is present and the left ventricular cavity is small, because digitalis increases the vigor of left ventricular contraction and thus increases the outflow obstruction HOCM ECHO may show mitral regurgitation Murmur of HOCM: Ejection systolic murmur Sudden death may be a complication Avoid digoxin